Which of the following are true regarding KFD -a) It is zoonosisb) Affects monkeysc) Caused by bacteriad) Caused by rickettsia
1. ac
2. ab
3. ad
4. bc

Correct answer: 2. ab